In electralloy calcium is alloyed with gold, as calcium:
1. Increase whiteness of the alloy
2. Increase corrosion resistance
3. Increases the strength.
4. Increase opacity.

Correct answer: 3. Increases the strength.

Explanation: The electrolytic precipitate of gold is alloyed with 0.1% calcium.
Calcium increases the strength by dispersion strengthening